Perversion with pain to self:
1. Transvestism
2. Fetishism
3. Sadism
4. Masochism

Correct answer: 4. Masochism

Explanation: Ans. Masochism